Ring worm infection affects -
1. Dermis
2. Papillary layer
3. Stratum corneum
4. Prickle cell layer

Correct answer: 3. Stratum corneum

Explanation: DERMATOPHYTOSIS Infection caused by dermatophytes.Superficial cutaneous infection.Affects stratum corneum layer of skin. Dermatophytes belonging to genera microsporum,Trichophyton and epidermophyton causes ringworm/tinea of skin ,hair and nails. Classified based on site of involvement.1. T.corporis- Glabrous skin.(skin regional except scalp,groin,palms and soles.2. T.cruris- groin.3. T.faciei- face4. T.barbae-Beard5. T.pedis-soles and web spaces.6. T.manuum-palms and webspaces.7. T.unguium-finger and toe nail. {Reference: IADVL textbook of dermatology, page 254